Mechanism of action of clomiphene citrate is ?
1. Binds to estrogen receptors & causes negative feedback at hypothalamus
2. Binds estrogen receptors & prevents negative feed back at hypothalamus
3. Binds to progesterone receptors
4. Progesterone agonist

Correct answer: 2. Binds estrogen receptors & prevents negative feed back at hypothalamus

Explanation: Ans. is 'b' i.e., Binds estrogen receptors & prevents negative feed back at hypothalamus o Induces gonadotropin secretion (LH, FSH) by blocking estrogenic feedback inhibition on hypothalamus.